Depressed of skull results from:
1. Heavy object with small striking surface
2. Heavy object with large striking surface
3. Fall over the ground
4. Light object

Correct answer: 1. Heavy object with small striking surface

Explanation: A i.e. Heavy object with small striking surface